Most common cause of maternal mortality is ?
1. Sepsis
2. Eclampsia
3. Hemorrhage
4. Obstructed labour

Correct answer: 3. Hemorrhage

Explanation: ANSWER: (C) HemorrhageREF: Williams 23I,d ed Ch 35 Pg 757Repeat OBG 2012 Session II, December 2010